Nerve damaged in radical mastiodectomy is:
1. Facial
2. Chochlear
3. Vestibular
4. All

Correct answer: 1. Facial

Explanation: Complications of mastoid surgery- Total hearing loss/dead ear Facial palsy (rare)